Most common primary malignant tumor of liver in adult is
1. Squamous cell carcinoma
2. Hepatoblastoma
3. Hepatocellular carcinoma
4. Hepatoma

Correct answer: 3. Hepatocellular carcinoma

Explanation: Refer Robbins page no 869